One of the following about corynebacterium diphtheriae is wrong -
1. Gram negative
2. Ernest babes granules seen
3. Chinese letter pattern
4. Prevented by immunisation

Correct answer: 1. Gram negative